Which type of cardiomyopathy is seen in alcoholics
1. Hypertrophic obstructive cardiomyopathy
2. Dilated Cardiomyopathy
3. Restrictive Cardiomyopathy
4. Hypertrophic non obstructive Cardiomyopathy

Correct answer: 2. Dilated Cardiomyopathy

Explanation: Alcohol is a risk factor for Dilated cardiomyopathy.